Which of the following is most susceptible to hypoxia?
1. Fibroblasts
2. Myocardial cells
3. Skeletal muscle
4. Neurons

Correct answer: 4. Neurons

Explanation: Neurons undergo irreversible damage within 3-4 minutes of Ischemic change.